All the following are disease phenotypes of Prion diseases Except
1. Creutzfeldt-Jakob disease
2. Gerstmann-Straussler- Scheinker syndrome
3. Fatal familial insomnia
4. Leigh syndrome

Correct answer: 4. Leigh syndrome

Explanation: Prions are abnormal forms of a cellular protein that cause rapidly progressive neurodegenerative disorders that may be sporadic, familial or transmitted. Disease phenotypes include Creutzfeldt-Jakob disease (rapidly progressive dementia), Gerstmann-Straussler-Scheinker syndrome (progressive cerebellar ataxia) and fatal familial insomnia.Leigh syndrome is a disease of infancy characterized by lactic acidemia, an arrest of psychomotor development, feeding problems, seizures, extraocular palsies, and weakness with hypotonia.Ref: Robbins and Cotran Pathologic Basis of Disease; 9th edition; Chapter 28; The Central Nervous System; Page no: 1284